In which one of the following femoral fractures is Avascular necrosis common?
1. Perochanteric
2. Transcervical
3. Sub-Trochanteric
4. Shaft of femur

Correct answer: 2. Transcervical

Explanation: B i.e. Trans cervical